Metronidazole is LEAST likely to be effective in the treatment of:
1. Hepatic amoebiasis
2. Infection caused by Bacteroides fragilis
3. Pseudomembranous colitis
4. Pneumocystosis

Correct answer: 4. Pneumocystosis

Explanation: Metronidazole is not used in the treatment of Pneumocystosis Its DOC is trimethoprime sulfomethoxazole (Cotrimoxazole) METRONIDAZOLE G - GIARDIASIS U - PEPTIC ULCER P - PMC T - TRICHOMONIASIS A - ANAEROBIC BACTERIA AMEOBIASIS